Lumbar hemivertebra results due to the abnormal development of -
1. Dorsal sclerotome
2. Intermediate cell mass
3. Notochord
4. Ventral sclerotome

Correct answer: 4. Ventral sclerotome